Distribution of blood flow is mainly regulated by the
1. Arteries
2. Arterioles
3. Capillaries
4. Venules

Correct answer: 2. Arterioles

Explanation: Arterioles regulate the distribution of blood flow by altering their diameter to increase or decrease the peripheral resistance as required.